Which is not a feature of Downs syndrome
1. Clinodactyly
2. Pigmented birth marks
3. Hypotonia
4. Respiratory tract Infections

Correct answer: 2. Pigmented birth marks

Explanation: Ans. is 'b' i.e., Pigmented birth marks